The laboratory report shows values of gonadotropin and ovarian hormones of the blood sample taken, on day 20 of the menstrual cycle of a young woman. Whether her cycle was ovulatory or not may be validly assessed by the reported serum level of :
1. FSH
2. LH
3. Oestradiol
4. Progesterone

Correct answer: 4. Progesterone

Explanation: D i.e. ProgesteroneWhether the cycle is ovulatory or anovulatory can be studied by plasma level of progesterone and LHQ.Plasma Progesterone- Progesterone is secreted by Corpus luteumQ which is formed after ovulation- Its concentration rises after ovulation & peaks at mid luteal phase (around day 20) and then declines as luteum degenerates.Plasma LH- LH is secreted by anterior pituitary gland LH surge causes ovulation and formation of corpus luteum.- Its peak (LH surge) is reached about 24-36 hrs before ovulationQ. - After ovulation its level start falling because of negative feedback of progesterone.